JSY is an acronym for?
1. Janani Suraksha Yojana
2. Jeevan Suraksha Yojana
3. Jeevan Shakthi Yojana
4. Jan Suraksha Yojana

Correct answer: 1. Janani Suraksha Yojana

Explanation: Janani Suraksha Yojana is a centrally funded scheme launched in 2005 offering maternity benefits. It aims at lowering maternal mortality and infant mortality by encouraging institutional deliveries. Ref : Park's Textbook of Preventive medicine